Pure Radiolucent stone
1. Struvite
2. Cystine
3. Xanthine
4. Calcium oxalate

Correct answer: 3. Xanthine

Explanation: Ans. (c) Xanthine StonesRadiolucent Kidney Stones:* Pure Uric Acid Stones* Xanthine* Indinavir Drug induced StoneUric Acid Stone:* 5-10% of all stones* Seen in excessive acid urine (pH<5.5)* Uric acid is an end product of purine metabolism* Dietary protein and protein excess results in increased urinary URIC acid and stone.* Myeloproliferative diseases, chemotherapy drugs induce this stone.* Uric acid stone is also formed in normal uric acid level.* Low urine volume like in IBD, Ileostomies may also stimulate uric acid stone.* Stones are hard, multifaceted, multiple.* Pure uric acid Stones are radiolucent.